A patient with the typical cutaneous lesions which are slightly elevated red or purple macules that are often covered by gray or yellow adherent scales. Forceful removal of the scale reveals numerous ‘carpet tack’ extensions, reveals the lesion as:
1. SLE
2. DLE.
3. Lichen planus.
4. Scleroderma.

Correct answer: 2. DLE.

Explanation: The typical cutaneous lesions are slightly elevated red or purple macules that are often covered by gray or yellow adherent scales. Forceful removal of the scale reveals numerous ‘carpet tack’ extensions which had dipped into enlarged pilosebaceous canals. The lesions increase in size by peripheral growth, this feature partially characterizing the disease.